When measuring skeletal muscle tension that develops during isometric contractions, it is observed that:
1. Total tension is inversely proportional to the length of the fiber
2. Total tension increases monotonically with the length of the fiber
3. Active tension increases monotonically with the length of the fiber
4. Active tension first increases then decreases with the length of the fiber

Correct answer: 4. Active tension first increases then decreases with the length of the fiber

Explanation: The total tension that is developed on stimulating a muscle isometrically is the sum of the passive tension of the unstimulated muscle and the active tension exerted by stimulation. The passive tension increases monotonically with the length of the fiber. Active tension, however, increases up to the resting length of the fiber and then declines as the length is increased further. The total tension therefore also shows first an increase and then a decrease as a fiber is lengthened.